Some children go through a period of intense appetite when they eat or chew on all sos of inedible substances. This is called
1. Pica
2. Anorexia
3. Bulimia
4. Astasia abasia

Correct answer: 1. Pica

Explanation: The eating disorder where children consume non-food items on a frequent or regular basis is called pica. A classic example of this disorder is when a child eats sand. Non-food items can include di, sand, paper, paint, chalk, hair, wood and more. Pica eating disorder in children leads to problems in the digestive system and delays in development. As this condition continues to persist for a longer duration, it can cause harm to the child and his/her development. Pica in Children Reference: GHAI Essential pediatrics, 8th edition